Parkland formula is amount of RL given in 24 hrs is calculated as
1. Percentage of burns * weight (kg) * 2
2. Percentage of burns * weight (kg) * 3
3. Percentage of burns * Weight (kg)* 4
4. Percentage of burns * weight (kg) * 5

Correct answer: 3. Percentage of burns * Weight (kg)* 4

Explanation: Parklands regime: 4 * %burn * weight (kg) for 24hoursMaximum percentage of burns considered is 15%Half of the volume is given in first 8hours , Rest given in 16hours